The common side effect with fluoxetine therapy is:
1. Seizure
2. Anxiety
3. Hypotension
4. All

Correct answer: 2. Anxiety

Explanation: B i.e. Anxiety